Chander's index i s-
1. No. Of eggs \/ gm of stool
2. No. Of larvae \/ 100g of stool
3. No. Of larvae \/ gm of stool
4. No. Of eggs \/ 100g of stool

Correct answer: 1. No. Of eggs \/ gm of stool

Explanation: Chandlers index is calculated as number of hookworm eggs per gram feces. Reference:Park's textbook of preventive and social medicine,K.Park,21st edition,page no:221 ,22nd edition,pg no.221.